Which of the following enzymes is coded by X-chromosome?
1. alpha-L-Iduronidase
2. Iduronate sulfatase
3. b-Galactosidase
4. Hyaluronidase

Correct answer: 2. Iduronate sulfatase

Explanation: option b - Iduronate sulfatase is coded by X-chromosome Mucopolysaccharidoses Rare inborn errors in the degradation of glycosaminoglycans; Characterized by intellectual disability and/or skeletal abnormalities. Classified under lysosomal storage disorders. Hunter syndrome inherited - X-linked recessive mode deficiency of enzyme Iduronate sulfatase. All the other MPS are inherited in autosomal recessive mode.